True about oligodendrocytes is?
1. Forms Myelin sheath
2. Forms blood brain barrier
3. Secretes CSF
4. All of the above

Correct answer: 1. Forms Myelin sheath

Explanation: ANSWER: (A) Forms Myelin sheathREF: Grays anatomy 39th ed page 51, Basic histology, Carlos & Jose, 11thedition, Chapter 9. Nerve Tissue & the Nervous System"The myelin sheath is produced by oligodendrocytes in the central nervous system and by Schwann cells in the peripheral nervous system"Oligodendrocytes myelinate CNS axons and are most commonly seen as intrafascicular cells in myelinated tracts.Oligodendrocytes may enclose up to 50 axons in separate myelin sheaths: the largest calibre axons are usually ensheathed on a 1:1 basis.